A drug which is entry inhibitor ?
1. Enfuvirtide
2. Abacavir
3. Efavirez
4. Amprenavir

Correct answer: 1. Enfuvirtide

Explanation: Ans. is 'a' i.e., Enfuvirtide Antiviral drugs 1 . Anti-herpes virus - Idoxuridine, Acyclovir, Valacyclovir, Famciclovir, Ganciclovi Foscarnet, Trifluridine, Vidarabine. 2. Anti-Retrovirus Nucleoside reverse transcriptase inhibitors (NRTIs) - Zidovudine, Didanosine, Zalcitabine, Stavudine, Lamivudine, Abacavir. Nonnucleoside reverse transcriptase inhibitors - Nevirapine, Efavirenz, Delavirdine. Protease inhibitors - Ritonavir, Indinavir, Nelfinavir, Saquinavir, Amprenavir, Lopinavir. Fusion inhibitors (entry inhibitor) - Enfuvirtide 3. Anti-influenza virus - Amantadine, Rimantadine, Oseltamivir, Zanamivir. 4. Nonselective - Ribavirin, Adefovir, Dipivoxil, Interferon a.